ECG is poor in detecting ischemia in areas supplied by which of the following vessels?
1. Left Anterior Descending (LAD)
2. Right Coronary Artery (RCA)
3. Left Circumflex (LCx)
4. Left Coronary Artery (LCA)

Correct answer: 3. Left Circumflex (LCx)

Explanation: The occlusion of posterior descending artery or distal part of lt circumflex artery lead to posterior wall MI. Posterior MI is diagnosed by placing posterior leads V7 to V9, which are continuation of precordial leads around to the left back. Circumflex artery distribution ischemia is notoriously silent on an ECG as the posterolateral wall is under-represented on a conventional 12 lead ECG Ref: Critical Decisions in Emergency and Acute Care Electrocardiography edited by William J. Brady, Jonathon D. Truwit; Manual of Cardiovascular Medicine By Brian P. Griffin, Page 528